According to Killey and Key all the following are absolute indications for removal of a tooth from fracture line EXCEPT
1. Vertical fracture of the root
2. Pre-existing periapical lesion
3. Luxation and subluxation of the tooth from the socket
4. Tooth which is intact but present in the line of fracture and shows no evidence of mobility or inflammation.

Correct answer: 4. Tooth which is intact but present in the line of fracture and shows no evidence of mobility or inflammation.